A teenager is diagnosed of having schizophrenia. Which among the following is TRUE for schizophrenia?
1. It is a disorder of thought
2. It causes split personality
3. It is due to emotional turmoil
4. It is due to childhood trauma

Correct answer: 1. It is a disorder of thought

Explanation: The term 'formal thought disorder' is a synonym for disorders of conceptual or abstract thinking that are most commonly seen in schizophrenia and organic brain disorders. In schizophrenia, disorders in the form of thinking may coexist with deficits in cognition.Schizophrenia is a disorder that includes a combination of hallucinations, delusions, disorder of thought, lack of motivation, flattening of affect, and disruptions in social functioning. Ref: Diseases and Disorders Set By Victoria J. Fraser, M.d., 2007, Page 756; Kaplan & Sadock's Synopsis of Psychiatry 10th Edition, Page 234, 277; Fish's Clinical Psychopathology: Signs and Symptoms in Psychiatry By Patricia R. Casey, Brendan D. Kelly, 2007, Page 46.